In normal X–ray of shoulder which is'superior most structure –
1. Greater tubercle
2. Surgical neck of humerus
3. Coracoid process
4. Head of humerus

Correct answer: 3. Coracoid process

Explanation: From superior to inferior (important structure on X-ray sholder) :- Clavicle : Acromian : Coracoid : Superior margin of humeral head : greater tubercle : anatomical neck : surgical neck.